Penicillins inhibit which of the following bacterial processes/compounds
1. Topoisomerase
2. Protein synthesis
3. Cell-wall synthesis
4. Dihydropteroate synthase

Correct answer: 3. Cell-wall synthesis

Explanation: PENICILLINS Mechanism of action All b-lactam antibiotics interfere with the synthesis of bacterial cell wall. The b-lactam antibiotics inhibit the trans- peptidases so that cross linking (which maintains the close knit structure of the cell wall) does not take place. These enzymes and related proteins constitute the penicillin binding proteins (PBPs) which have been located in the bacterial cell membrane. Ref:- kd tripathi; pg num:-716,717